Rupture of membranous urethral injury more commonly due to
1. Thin supported wall
2. Fixity of urethra
3. Angulation
4. Proximity to bladder

Correct answer: 2. Fixity of urethra

Explanation: Due to fixity of urethra to adjacent structure membrnous urethra rupture.